Medium term intervention for Vitamin A prphylaxis is -
1. Measles immunization
2. Vit A supplementation
3. Fortification of food
4. Green leafy vegetables

Correct answer: 3. Fortification of food

Explanation: - medium term intervention for vitamin A prophylaxis is fortification of certain foods with vitamin A. - addition of vitamin A to dalda in India is a typical example. Reference : Park's textbook of preventive and social medicine, 23rd edition, pg no:641